Secretin is secreted by
1. Duodenum
2. Pancreas
3. Liver
4. Stomach

Correct answer: 1. Duodenum

Explanation: Secretin is secreted by 'S' cells that are located deep in the glands of the mucosa of the upper portion of the small intestine (especially, in the mucosa of duodenum and jejunum). On liberation into portal venous blood via systemic circulation, it reaches pancreatic tissue to stimulate the secretion of pancreatic juice.
Note: Secretin is secreted in duodenum, but acts on duct cells of pancreas to stimulate alkaline pancreatic juice secretion.